Which long acting insulin can be mixed with rapid acting insulin?
1. Glargine
2. Degludec
3. Detemir
4. Can't be mixed due to difference in pH

Correct answer: 2. Degludec

Explanation: Traditionally long acting insulins could not be mixed with short acting insulins due to different pH. However insulin degludec preparation is now available as 70% insulin degludec and 30% insulin aspart and is injected once or twice per day.